Fluorescin angiography is used to examine-
1. Ciliary vasculature
2. Retinal vasculature
3. Corneal vasculature
4. Conjuctival vasculature

Correct answer: 2. Retinal vasculature

Explanation: Fluorescin angiography used to examine: Retinal vasculature in DM retinopathy patients for neovascularization. Normal retinal vasculature on flouroscein angiography.